Christmas tree cataract is seen in -
1. Blunt trauma
2. Diabetes
3. Galactosemia
4. Myotonic Dystrophy

Correct answer: 4. Myotonic Dystrophy

Explanation: Ans. is 'd' i.e., Myotonic Dystrophy DiseaseCataractMyotonic DystophyChristmas tree cataractWilson's disease, chalcosisSunflower cataractDM, Down's SyndromeSnowflake cataractAtopic dermatitisBlue dot cortical cataract, posterior subcapsular cataractCongenital rubellaNuclear cataractGalactosemiaOil drop cataractComplicated cataract (Iridocyclitis, High myopia)Posterior cortical breads's crumb appearancePolychromatic lusture / Rainbow cataractBlunt traumaVossius ring on anterior surface of lensRosette shaped cataract